Which of the following crystals may give rise to pseudo neuropathic arthropathy resembling Charcot's joint -
1. Monosodium uratehydroxy apatite o
2. Hydroxy apatite
3. Calcium oxalate
4. Calcium pyrophosphate dihydrate

Correct answer: 4. Calcium pyrophosphate dihydrate